Which of the following is/are features of dishpan digit?
1. Reddened finger
2. Exceptionally clean thumb
3. Fibrous rough callus
4. All of the above

Correct answer: 4. All of the above

Explanation: Dishpan digit
Finger of the child who indulges in sucking habit. On examination, it will provide valuable information about the habits. They are:

Reddened.
Exceptionally clean thumb / nail / finger.
Fibrous rough callus.